The best sampling method used for drug abusers
1. Quota sampling
2. Snowball sampling
3. Cluster random sampling
4. None of the above

Correct answer: 2. Snowball sampling

Explanation: Snow-ball Sampling

A technique for developing a research sample where existing study subjects recruit future subjects from among their acquaintances; thus the sample group appears to grow like a rolling snowball
Is often used in hidden populations which are difficult for researchers to access, e.g. drug users or commercial sex workers.